Founder effect describes the distribution of diseases on the basis of
1. Occupation
2. Environment
3. Genetics
4. None

Correct answer: 3. Genetics

Explanation: In population genetics, the founder effect is the loss of genetic variation, and/or occurrence of genetic disorders when a new population is established by a very small number of individuals from a larger population. Ref: 25th edition, Park's Textbook of Preventive and Social Medicine, Page no. 888